Daily caloric needs in pregnancy are about........kilocalories?
1. 1000
2. 1500
3. 2500
4. 3500

Correct answer: 3. 2500

Explanation: The pregnant women should have a light but nutritious diet. She needs an extra 300 kcal per day especially from the second trimester onwards, I.e, a total of 2500 kcal per day. About 60g of extra dietary protein should be provided daily i.e, 20g in addition to the usual requirement. (refer pgno: 95 Sheila 2nd edition)